Amount of gap required for cement in restoration is:
1. 10-25 microns
2. 2 microns
3. 50-100 microns
4. No gap required

Correct answer: 1. 10-25 microns